A patient in the post opreative ICU with intravenous catheter developed spikes of fever.The causativeorvanism is -
1. E. Coli
2. Coagulase negative staphylococci
3. Pseudomonas
4. Streptococcus agalactiae

Correct answer: 2. Coagulase negative staphylococci